Venooccluisve disease is seen in all except
1. Bone marrow transplant
2. Bush teas
3. Mushroom poisoning
4. Cytosine arabinoside

Correct answer: 3. Mushroom poisoning

Explanation: Risk factors for venooccluisve disease In Western hemisphere, most common cause of VOD is bone marrow transplantation Chemotherapy : Cytosine arabinoside, Thioguanine, carmustine, Gemtuzumab ozogamocin Long term immunosuppression with Azathioprine in renal and liver transplantation Ingestion of Bush teas(pyrrolizide alkaloids) from plants of crotalaria and scenacio genera. These plants and plants of heliotropium genus produce liver failure in herbivores Ref: Blumgart 5th edition Pgno : 1189-1198